If the probability of full recovery following polio is 0.3 and the probability of partial recovery is 0.4, then the total probability of full or partial recovery following polio is:
1. 0.12
2. 0.7
3. 1.2
4. 0.1

Correct answer: 2. 0.7

Explanation: In case of mutually exclusive events, for example total and partial recovery, the total probability can be calculated by applying the law of addition. i.e. P (full or partial recovery)= P(full recovery)+ P(partial recovery) = 0.4+0.3=0.7 Ref: Medical biostatistics, 1st edition pg: 191